The most common type of genital prolapse is:
1. Cystocele
2. Procidentia
3. Rectocele
4. Entrocele

Correct answer: 1. Cystocele

Explanation: Cystocele is the most frequent type of genital prolapse. Ref: Glenn's Urologic Surgery, Page 326 ; Shaw's Textbook of Gynaecology, 11th Edition, Page 358 ; A Comprehensive Textbook of Obstetrics and Gynecology By Sadhana Gupta, 2011, Page 63